Blue colour of the bruise is due to
1. Hemosiderin
2. Deoxyhemoglobin
3. Bilirubin
4. Hematoidin

Correct answer: 2. Deoxyhemoglobin

Explanation: B i.e. Deoxyhemoglobin